Which of the following Lacks sexual phase
1. Deuteromycota
2. Basidiomycota
3. Ascomycota
4. Zygomycota

Correct answer: 1. Deuteromycota

Explanation: Deuteromycota (Fungi imperfectii) - sexual state is absent.